Typical intercostal space has -
1. One artery
2. Two arteries
3. Three arteries
4. Four arteries

Correct answer: 3. Three arteries

Explanation: Ans.is 'c' i.e., Three arteries(Ref: BDC 6h/e VoI. I p. 219)Each of upper nine intercostal spaces have one posterior and two anterior intercostal arteries.